Anterolateral avulsion fracture of the distal tibial physis is known as -
1. Potts fracture
2. Tillaux frascture
3. Chopartracture
4. Jones fractture

Correct answer: 2. Tillaux frascture

Explanation: Two unusual injuries of the growing ankle are the Tillaux fracture and the notorious triplane fracture. The TILLAUX fracture is an avulsion of a fragment of tibia by the anterior tibiofibular ligament; in the child or adolescent this fragment is the lateral part of the epiphysis and the injury is therefore a Salter-Harris type 3 fracture. REF:Apley's system of orthopaedics- 9th edn - pg no 918 .